Punishment for rape is defined under
1. IPC 375
2. IPC 376
3. IPC 374
4. IPC 378

Correct answer: 2. IPC 376

Explanation: Section 376 IPC: Punishment for Rape Whoever commits rape, shall be punished with imprisonment of either description for a term which shall not be less than 7 years but which may be for life, or for a term which may extend to 10 years and shall also be liable to fine. Ref : Krishnan vij Textbook of Forensic medicine and Toxicology 5th edtion ; pg no - 306